Miliary shadow in chest X–ray is seen in A/E –
1. TB
2. Sarcoidosis
3. Klebsiella
4. Metastasis

Correct answer: 3. Klebsiella